Which of the following surgical approach was first described by Orringer for the management of carcinoma esophagus-
1. Transhiatal
2. Thoracoscopic
3. Left thoracoabdominal
4. Right thoracoabdomonal

Correct answer: 1. Transhiatal